Which nerve is near to mandibular third molar (medial aspect) and is likely to be damaged while removing 3rd molar?
1. Inferior alveolar nerve
2. Buccal nerve
3. Massetric nerve
4. Lingual nerve

Correct answer: 4. Lingual nerve